Physiological uncoupler is ?
1. Thyroxine
2. Free fatty acids
3. Thermogenin
4. All of the above

Correct answer: 4. All of the above

Explanation: Ans. is 'd' i.e., All of the above